All are examples of tumors associated with absolute erythrocytosis , EXCEPT:
1. Hypernephroma
2. Hepatoma
3. Cerebellar hemangioblastoma
4. Ovarian teratoma

Correct answer: 4. Ovarian teratoma

Explanation: Tumors associated with absolute erythrocytosis Hypernephroma Hepatoma Cerebellar hemangioblastoma Uterine myoma Adrenal tumors Meningioma Pheochromocytoma Familial (with normal hemoglobin function)associated with absolute erythrocytosis Erythropoietin receptor mutation VHL mutations (Chuvash polycythemia) 2,3-BPG mutation Ref: Harrison, E-18,P-902